All are alkylating agents, except aEUR'
1. 5-FU
2. Melphalan
3. Cyclophosphamide
4. Chlorambucil

Correct answer: 1. 5-FU

Explanation: 5 Fluorouracil Repeat from May 10 Q no.68